Air pressure of atmosphere at sea level (pound/square inch):
1. 3-Feb
2. 7-May
3. 11-Sep
4. 13-15

Correct answer: 4. 13-15

Explanation: Ans. D i.e. 13-15